Drug used in prophylaxis of H. Influenza is
1. Doxycycline
2. Rifampicin
3. Erythromycin
4. None

Correct answer: 2. Rifampicin

Explanation: Rifampicin is drug of choice for prophylaxis of Meningococcal meningitis. H. Influenza meningitis Refer Harrison 19th/205